Anemia is greater in which of the following gastric resection -
1. Billorth II
2. Billorth I
3. Both of the above are equal
4. Neither of the above

Correct answer: 1. Billorth II

Explanation: Ans. is 'a' i.e., Billorth II